The thyroid inhibitor with fastest mechanism of action is?
1. Potassium iodide
2. Propylthiouracil
3. Carbimazole
4. Cholestyramine

Correct answer: 1. Potassium iodide

Explanation: Though iodine is a constituent of the thyroid hormones, but still it is the fastest acting thyroid inhibitor. All the facets of thyroid function seemed to be affected by iodine. But the most important function of it is inhibition of the release of the thyroid hormone from the follicular cells which has been already synthesized. Thus, the enlarged gland slowly shrinks, and then, it becomes firm and less vascular.